Stage lb cervical cancer is diagnosed in a young woman. Assuming that the cancer is confirmed to the cervix and that intraoperative biopsies are negative, which of the following structure would not be removed during the radical hysterectomy?
1. Uterosacral and uterovesical ligaments
2. Pelvic nodes
3. The entire parametrium on both sides of the cervix
4. Both ovaries

Correct answer: 4. Both ovaries

Explanation: Ans. is 'd' i.e., Both ovaries * Radical hysterectomy is most often used as a primary treatment for early cervical cancer (stage 1A2, IB, and IIA), and occasionally as a primary treatment for uterine cancer. In either case, there must be no evidence of spread beyond the operative field, as suggested by negative intraoperative frozen-section biopsies. The procedure involves excision of the uterus, the upper third of the vagina, the uterosacral and uterovesical ligaments, and all of the parametrium, and pelvic node dissection including the ureteral, obturator, hypogastric, and iliac nodes.* Radical hysterectomy, thus, attempts to preserve the bladder, rectum, and ureters while excising as much as possible of the remaining tissue around the cervix that might be involved in microscopic spread of the disease. Ovarian metastases from cervical cancer are extremely rare. Preservation of the ovaries is generally acceptable, particularly in younger women.